Most common catheter related blood stream infection is -
1. Candida
2. Gram negative organisms
3. Coagulase positive staphylococci
4. Coagulase negative staphylococci

Correct answer: 4. Coagulase negative staphylococci

Explanation: Ans. is 'd' i.e., Coagulase negative staphylococci "The most common pathogens isolated from vascular device-associated bacteremia include coagulase negative staphylococci, S. aureus, enterococci, nosocomial gram-negative bacilli and candida." "Staph aureus is second only to CoNS as a cause of primary nosocomial bacteremia" So: . M.C. cause of catheter related blood stream infection --> coagulase negative staphylococci 2nd MC cause of catheter related blood stream infection coagulase positive staphylococci (S. aureus)